Most valuable diagnostic test in case of suspected ectopic pregnancy:
1. Serial b-hCG revels
2. Transvaginal USG
3. Progesterone measurement
4. Culdocentesis

Correct answer: 2. Transvaginal USG

Explanation: Ans. is b, i.e. Transvaginal USGRef. Dutta Obs. 7/e, p 182, 183; Williams Gynae 1/e, p 162, 163; Novak 14/e, p 611; Williams Obs. 22/e, p 259, 23/e, p 242, 43"As explained earlier transvaginal ultrasound is the best available diagnostic modality for diagnosing ectopic pregnancy. Vaginal sonography yields correct pre-operative diagnosis of ectopic pergnancy in 91% cases. It decreases the need for diagnostic laparoscopy or curettage or both to establish the diagnosis of ectopic pregnancy" --Williams Gynae 1/e, p 163"Vaginal sonography has become the imaging method of choice." --Williams Obs. 22/e, p 259